All of the following statements about Lipoprotein Lipase are true, Except :
1. Found in adipose tissue
2. Found in myocytes
3. Deficiency leads to hypertriacylglycerolemia
4. Does not require CII as cofactor

Correct answer: 4. Does not require CII as cofactor

Explanation: D i.e. Does not require CII as cofactorIn the capillaries of adipose, heart, skeletal muscle and lactating mammary tissuesQ, lipoprotein lipase is activated by apo CII aproprotein of chylomicron and VLDLQ and the enzyme degrades the triacyl glycerol to yield fatty acid and glycerol.Apo CII is essential for activation whereas apo All and C III inhibits the lipoprotein lipase enzymeQ. So the patients with a deficient lipoprotein lipase or apo CII (i.e. Type I hyperlipoproteinemia or Familial lipoprotein lipase deficiency) show a very high (> 1000 mg/dl) accumulation of chylomicrons containing triacyl glycerol in plasma i.e. hypertriacylglycerolemia even in fasting stateQ.